With which one of the following examination finding is associated with lower motor neuron lesions ?
1. Spasticity
2. Flaccid paralysis
3. Hyperactive stretch reflex
4. Muscular incordination

Correct answer: 2. Flaccid paralysis

Explanation: In lower motor neuron type of weakness, lesion is either in anterior horn of spinal cord, root, plexus or peripheral nerve. In lower motor neuron lesion patients presents with weakness, wasting and fasciculations of involved muscles, hypotonia (flaccidity), loss of tendon reflexes and normal abdominal and plantar reflexes. Ref: Clinical Neurology By Roger P. Simon, 7th Edition, Chapter 5; Clinical Neuroanatomy By Stephen G. Waxman, 26th Edition, Chapter 7